Emergency thoracotomy is indicated following chest trauma in the following conditions except:-
1. Scapular and sternal fractures
2. Esophageal perforation
3. Penetrating injury with cardiac tamponade
4. Massive Hemothorax

Correct answer: 1. Scapular and sternal fractures

Explanation: Indications of Thoracotomy Initial tube thoracostomy drainage of > 1000 ml (penetrating injury) or >1500 ml (blunt injury) Ongoing tube thoracostomy drainage of >200 ml/hr for 3 consecutive hours in non-caogulopathic patients Caked hemothorax despite of placement of two chest tubes Tracheo-bronchial injury Selected descending torn aorta or great vessel injury Pericardial tamponade Cardiac herniation Massive air leak from chest tube with inadequate ventilation Open pneumothorax Esophageal perforation